For the prevention of human rabies, immediate flushing and washing the wound(s) in animal bite cases, with plenty of soap and water, under running tap should be carried out for how much time
1. 2 minutes
2. 1 minute
3. 15 minutes
4. 5 minutes

Correct answer: 3. 15 minutes

Explanation: Local wound Treatment in Rabies Purpose of local treatment is to remove as much virus as possible, from site of inoculation, before it is absorbed on local nerve endings Local wound treatment can reduce chances of rabies upto 80% Immediate flushing and washing wound area with plenty of soap and running water for minimum 15 minutes is of paramount importance Suturing : Not recommended ; if necessary, do 24-48 hours later under cover of Anti-rabies serum (Local application with prior sensitivity testing) Chemical treatment with virucidal agents (Alcohol, tincture, 0.01% aqueous iodine) Ref: Park 25th edition Pgno : 296